Which view is best for recognizing collapse of lingula
1. Part view
2. Right anterior oblique view
3. Left anterior oblique view
4. Lordotic view

Correct answer: 4. Lordotic view

Explanation: Lordotic view

Visualization of lung apices
Collapse of lingula or middle lobe.